With regard to the malignant behaviour of leiomyosarcoma, the most important criterion is ?
1. Blood vessel penetration by tumor cells
2. Tumor cells in lymphatic channels
3. Lymphocyte infiltration
4. The number of mitoses per high power field.

Correct answer: 4. The number of mitoses per high power field.

Explanation: Ans. is 'd' i.e. The number of mitoses per high power field The most important diagnostic criterion for distinction between leiomyoma and leiomyosarcoma is the number of mitoses present per high power field. "The most important diagnostic criterion is a high rate of mitotic figures (over 10 mitoses per 10 high power fields" - Chandrasoma Taylor Robbins states : 10 or more mitoses per 10 high power fields with or without cellular atypism, indicates malignancy In presence of nuclear atypia or large (epitheloid) cells, 5 mitoses per 10 highpower fields indicates malignancy.